Mefipristone causes __________ on fibroid
1. Hyperplasia of fibroid
2. Atrophy of fibroid
3. No effect on fibroid
4. Varies with age

Correct answer: 2. Atrophy of fibroid

Explanation: MIfepristone is anti-progestin, which induces atrophy in leiomyomas.